True about omphalocele is all, EXCEPT:
1. Umbilical cord inserts into the sac
2. Incidence of approximately 1 in 5000 live births
3. Abdominal wall defect measures >=4 cm in diameter
4. None of the above

Correct answer: 4. None of the above

Explanation: Omphalocele refers to a congenital defect of the abdominal wall in which the bowel and solid viscera are covered by peritoneum and amniotic membrane. The umbilical cord inserts into the sac. The abdominal wall defect measures >=4 cm in diameter. Omphalocele has an incidence of approximately 1 in 5000 live births. Ref: Schwartz's principle of surgery 9th edition, chapter 39.